Incalculating the literacy rate, which parameter is taken into account?
1. Age above 7 years
2. Schooling upto 10th class
3. Schooling upto 15 years
4. Whole population

Correct answer: 1. Age above 7 years

Explanation: Literacy (India) : Any person who can read and write with understanding, in any one language of India who is >7 years of age (definition used in 1991 & 2001 census) Literacy rate : Denominator is population >7 years age Crude literacy rate : Denominator is total population (used earlier) Literacy rate (India) : 75.04% (census 2011) Literacy rate by sex : Males - 82% & Females - 65% Literacy rate by state : Maximum 94%(Kerala) & Least 64%( Bihar) Ref: Park 25th edition Pgno : 537